Which of the following is life threatening?
1. U/L abductor paralysis
2. B/L abductor paralysis
3. U/L adductor paralysis
4. B/L adductor paralysis

Correct answer: 2. B/L abductor paralysis

Explanation: In bilateral abductor paralysis (due to B/L recurrent laryngeal nerve palsy), both the cords assume a median position due to unopposed action of cricothyroid muscle. The airway is inadequate in this condition, causing dyspnea. The condition can be life threatening.